All of the following are Standards laid down by the Factories Act except-
1. Minimum 500 cubic feet space per worker
2. Maximum working hours including overtime per week; 60 hours
3. Defines any factory that employs 10 or more workers where power is not used-
4. Probihition of employment of children below 14 years of age

Correct answer: 3. Defines any factory that employs 10 or more workers where power is not used-

Explanation: The Factory Act defines factory as an establishment employing 10 or more workers where the power is used and 20 or more workers where the power is not used.(Ref.PARK'S textbook of preventive and social medicine 21st edition page no.755)